Platelate aggregation is caused by all, except -
1. Thromboxane A2
2. Serotonin
3. Prostacyclin (PGI2)
4. Thrombin

Correct answer: 3. Prostacyclin (PGI2)

Explanation: Ans. is 'C' i.e.. Prostacyclin (PGI,) o Factors promoting platelet aggregation : ADP, TXA2 epinephrine, serotonin, vWF, fibrinogen, collagen, immune complex, thrombin, thrombospondin. a Factors inhibiting platelet aggregation : PGI2, NO, endothelin, bradykinin.